In MCH programme, best indicator for mother and child health -
1. MMR
2. IMR
3. Still birth rate
4. Neonatal mortality' rate

Correct answer: 2. IMR

Explanation: Ans. is 'b' i.e., IMRo IMR is best indicator for:-Health status of a community.Level of living.Effectiveness of MCH services.o IMR is second best indicator of socioeconomic status ofcountry (under 5 mortality rate is more refined indicator for socioeconomic status).